Nasopharyngeal Ca is caused by:
1. EBV
2. Papilloma virus
3. Parvo virus
4. Adeno virus

Correct answer: 1. EBV

Explanation: Etiology of Nasopharyngeal Carcinoma Genetic: It is most common in China. Viral: Epstein-Barr virus is closely associated with nasopharyngeal cancer. Epstein-Barr virus has identified in tumor epithelial cells (not lymphocytes) of most undifferentiated and nonkeratinizing squamous cell carcinoma. Environmental: Burning of incense or wood (polycyclic hydrocarbon); smoking of tobacco and opium; air pollution; nitrosamines from dry salted fish along with vitamin C deficient diet have been linked to the etiology of nasopharyngeal cancer.